Which of the following complications is currently the major limitation to the long-term success of cardiac transplantation?
1. Allograft rejection
2. Graft arteriosclerosis
3. Graft atherosclerosis
4. Opportunistic infections

Correct answer: 2. Graft arteriosclerosis

Explanation: Currently, graft arteriosclerosis (AKA graft vascular disease) is the most important limit to the long-term success of heart transplantation. For unknown reasons, the coronary arteries of transplanted hearts undergo intimal thickening associated with hyperplasia of myocytes and fibroblasts and deposition of matrix. This results in luminal stenosis and myocardial ischemia. Patients may develop myocardial infarction, which is clinically silent because the heart is denervated. The overall survival after heart transplantation is 80% at 1 year and 60% at 5 years. Do not confuse graft arteriosclerosis with graft atherosclerosis. Atherosclerosis is caused by accumulation of cholesterol esters and development of atheromas. Atherosclerosis may recur in the coronary arteries of transplanted hearts, but is not a limiting factor in long-term success of heart transplantation. Allograft rejection is certainly a major postoperative problem. However, thanks to early diagnosis based on periodic endomyocardial biopsy and the availability of immunosuppressant therapy, this complication can be prevented or successfully treated. Although opportunistic infections and development of Epstein-Barr related lymphomas are undesired effects of profound immunosuppression, these complications do not constitute a significant limitation to the overall outcome of cardiac transplantation. Ref: Lin P.H., Kougias P., Bechara C., Cagiannos C., Huynh T.T., Chen C.J. (2010). Chapter 23. Arterial Disease. In F.C. Brunicardi, D.K. Andersen, T.R. Billiar, D.L. Dunn, J.G. Hunter, J.B. Matthews, R.E. Pollock (Eds), Schwartz's Principles of Surgery, 9e.